Drugs are used in AKT-4 kit for TB as
1. None
2. Decrease in resistance by conjugation
3. To cure disease early
4. Decrease in resistance by mutation

Correct answer: 4. Decrease in resistance by mutation